Mid diastolic murmur with presystolic accentuation is typically seen in
1. Mitral stenosis
2. Mitral regurgitation
3. Aortic stenosis
4. MVP

Correct answer: 1. Mitral stenosis

Explanation: Ref Harrison 19 th ed pg 1540 In patients with sinus rhythm, the murmur often reappears or becomes louder during atrial systole (presystolic accentuation). Soft, grade I or II/VI systolic murmurs are commonly heard at the apex or along the left sternal border in patients with pure MS